MTP is not done in:
1. Case of rape
2. Baby with congenital disease
3. Mother at risk
4. Family is poor

Correct answer: 4. Family is poor

Explanation: Family is poor